The epidermis is thinnest on the?
1. Forehead
2. Eyebrows
3. Back of the hands
4. Eyelids

Correct answer: 4. Eyelids

Explanation: The thickness of the epidermis varies in different types of skin. It is the thinnest on the eyelids at .05 mm and the thickest on the palms and soles at 1.5 mm.